Staph. aureus causes vomiting in 2 hours after eating contaminated milk product . The mechanism of action is -
1. Stimulation of C AMP
2. Vagal stimulation
3. Stimulation of C GMP
4. Acts through ganglioside GM receptor

Correct answer: 2. Vagal stimulation

Explanation: Option 1, 3 Increase in cyclic AMP/GMP-accumulation of sodium chloride in the intestinal lumen- Diarrhea. Option 2 Toxin Stimulates the vagus nerve and vomiting center of brain. Acts directly on the autonomic nervous system rather than on gastrointestinal mucosa. Option 4 Cholera toxin: binds to GM1 ganglioside receptors present on the intestinal epithelium